Tibialis posterior has insertion to all of the following bones except
1. 2nd metatarsal
2. 1st metatarsal
3. Medial Cuneiform
4. 3rd Metatarsal

Correct answer: 2. 1st metatarsal

Explanation: Tibialis posterior
The main portion inserts into the tuberosity of the navicular and the plantar surface of the medial cuneiform. The plantar portion inserts into the bases of the second, third and fourth metatarsals, the intermediate and lateral cuneiforms and the cuboid.